Swan neck deformity is seen in
1. Osteoarthritis
2. Rheumatoid arthritis
3. Psoriatic arthritis
4. Gout

Correct answer: 2. Rheumatoid arthritis

Explanation: Important deformities of hand in RABoutonniere deformity: flexion contracture of PIP joint and extension of DIP jointSwan neck deformity: Hyperextension of PIP joint and flexion at DIP jointZ-deformity: radial deviation of the wrist with ulnar deviation of fingersHyperextension of 1st interphalangeal joint and flexion on MP joint(Refer: Mohindra's Fundamentals of Orthopedics, 2nd edition, pg no. 420)